A 30 year old male was dignosed with Hodgkin's lymphoma and was started on Bleomycin . Which of the following is false regarding Bleomycin?
1. It can cause pulmonary fibrosis
2. It can cause flagellated pigmentation of skin
3. It is metabolized by hydrolase enzyme
4. It has high risk of causing bone marrow suppression

Correct answer: 4. It has high risk of causing bone marrow suppression

Explanation: Most Anticancer drugs cause bone marrow suppression. However, these drugs are marrow sparing: Vincristine Bleomycin Asparaginase Bleomycin is metabolized by bleomycin hydrolase. Later is deficient in skin and lungs. Therefore these organs are at high risk of toxicity (flagellated skin pigmentation and pulmonary fibrosis)